True/false. NCCT is the initial investigation of choice in any stroke patient. Hyperdense MCA sign is a sign of acute infarct on MRI. Thrombolysis is contraindicated in haemorrhagic stroke. DWI is the most sensitive sequence for acute stroke. Window period for iv thrombolysis in acute ischemic stroke is 4.5 hours according to ECASS-III trial.
1. TFTTT
2. TFFTT
3. TFTFF
4. TFFFT

Correct answer: 1. TFTTT

Explanation: Stroke is characterised by decrease in blood flow to the brain. NCCT is the initial IOC for stroke patients to differentiate haemorrhagic stroke from ischemic stroke. DWI sequence on MRI is most sensitive for detection of acute infarct. Signs of acute infarct on NCCT- Hyperdense MCA sign Sylvian dot sign Obscuration of lentiform nucleus Insular ribbon sign Iv thrombolysis is given in ischemic stroke if patient present within 4.5 hours of neurological deficit according to ECASS-III trial. IV thrombolysis is contraindicated in haemorrhagic stroke.